Fabry’s disease is caused due to deficiency of
1. Alpha Galactosidase
2. Ceramidase
3. Debranching enzyme
4. None of the above

Correct answer: 1. Alpha Galactosidase